Delta sign in CT scan is characteristic of
1. Petrositis
2. Otogenic brain abscess
3. Lateral sinus thrombophlebitis
4. Otosclerosis

Correct answer: 3. Lateral sinus thrombophlebitis

Explanation: Contrast-enhanced CT scan can show sinus thrombosis by typical delta sign. It is a triangular area with rim enhancement and the central low-density area is seen in posterior cranial fossa on axial cuts. MR imaging better delineates thrombus. "Delta sign" may also be seen on contrast-enhanced MRI. MR venography is useful to assess the progression or resolution of thrombus. Ref : Diseases of ENT by Dhingra 6th edition Pgno : 84,85